"Sleep apnoea", is defined as a temporary pause in breathing during sleep lasting at least
1. 40 seconds
2. 30 seconds
3. 20 seconds
4. 10 seconds

Correct answer: 4. 10 seconds